Aortic regurgitation may be associated with all of the following except
1. Ankylosing Spondylitis
2. Marfan's Syndrome
3. Dissection of the aorta
4. Polyarteritis nodosa

Correct answer: 4. Polyarteritis nodosa

Explanation: Aortic regurgitation Valvular Congenital (bicuspid) Endocarditis Rheumatic fever Myxomatous (prolapse) Traumatic Syphilis Ankylosing spondylitis Root disease Aortic dissection Cystic medial degeneration Marfan's syndrome Bicuspid aortic valve Nonsyndromic familial aneurysm Aortitis Hypertension ( Harrison's principle of internal medicine,18th edition,pg no. 1930 )